Benzodiazepines act preferentially on which part of the brain to block thought and mental functions?
1. Hypothalamus
2. Thalamus
3. Limbic System
4. Area Postrena

Correct answer: 3. Limbic System